Vitamin E prevents rancidity by virtue of its---------property:
1. Antioxidant
2. Oxidant
3. Sulfuration
4. Hydrogenation

Correct answer: 1. Antioxidant

Explanation: A Harper, 26th ed, p. 486 & 25th ed. p. 647